`Charcot' triad' is
1. Fever, pain, vomiting
2. Fever, stone, jaundice
3. Fever, pain, jaundice
4. Gall stone, vomiting, jaundice

Correct answer: 3. Fever, pain, jaundice